Delusion that someone from high socioeconomic status is loving you is
1. Othello syndrome
2. Capgras syndrome
3. De Clerambault syndrome
4. Franklin syndrome

Correct answer: 3. De Clerambault syndrome

Explanation: Delusion is defined as a false , fixed, firm belief which is impervious to other experiences, person holds it with subjective certainty , leads to compelling counterargument and which is outside the social , cultural and educational background. There are several types of delusions Some of the named delusions are ERATOMANIC DELUSION- De clerambault syndrome- patient has a delusion that person from a higher social class is in love with the patient. They may even STALK the person on whom they have delsuion. INFIDELITY DELUSION-OTHELLO syndrome. This is most common in ALCOHOLIC MALES. patient presents with doubt regarding infedility of the wife Delusional misidentification-CAPGRAS SYNDROME-patient with this delusion have an idea that a familiar person is replaced by an imposter Ref- Fish Psychopathology, 3e, pg 123.